All except one are true regarding Barret'soesophagus
1. More incidence of sq. cell ca
2. Metaplasia
3. Columnar epithelium
4. Involves lower oesophagus

Correct answer: 1. More incidence of sq. cell ca

Explanation: Ans is 'a' ie More incidence of sq. cell ca There is increased incidence of adenocarcinoma in Barret's esophagus.Barrett's esophagus is a premalignant condition with increased incidence of adenocarcinoma of esophagus. The risk of adenocarcinoma increases with increasing length of columnar-lined epitheliumAlso rememberBarrett's esophagus is the single most important risk factor for adenocarcinoma of esophagus.The adenocarcinoma develops at the squamo-columnar junction (-85%) or within 2 cm iof the junction.